Anuria is defined as urine output less than?
1. 4 ml/hr
2. 8 ml/hr
3. 12 ml/hr
4. 16 ml/hr

Correct answer: 1. 4 ml/hr

Explanation: Oliguria <400ml/day Anuria <100 ml/ day